Most common ovarian tumor
1. Serous cystadenoma
2. Choriocarcinoma
3. Teratoma
4. Fibroma

Correct answer: 1. Serous cystadenoma

Explanation: Ans. (a) Serous cystadenoma(Ref: Robbins 9th/pg 1023)*Most ovarian tumors are surface epithelial (65-70%)*Serous cystadenoma is the most common surface epithelial tumor